Distichiasis is-
1. Abnormal inversion of eyelashes
2. Abnormal extra row of cilia
3. Abnormal eversion of eyelashes
4. Misdirected cilia

Correct answer: 2. Abnormal extra row of cilia

Explanation: *Distichiasis i.e. an abnormal extra row of cilia taking place of meibomian glands. Ref: Khurana ophthalmology 7th/e p.386